Plane warts are caused by which of the following HPV types.
1. 2, 4, 7, 27
2. 3, 10, 28, and 41
3. 1, 2, and 4
4. 16, 18, 31

Correct answer: 2. 3, 10, 28, and 41

Explanation: Mnemonic: "DSP-CELB" Types of Viral wart HPV subtype- Deep plantar wart/ (myermercia) 1(MC) Superficial plantar wart/(mosaic) 2 (MC) Plane wart (verruca plana) 3,10,28,41 Common wart(verruca vulgaris) 4 <2 (MC) Epidermodysplasia verruciformis 5,8 Laryngeal was/anogenital 6 >11 Butcher wart. 7 (MC)